Perineural spread is seen in:
1. Mucoepidermoid carcinoma
2. Keratoacanthoma
3. Adenoid cystic carcinoma
4. All of the above

Correct answer: 4. All of the above

Explanation: Perineural spread is seen in

Mucoepidermoid carcinoma
Keratoacanthoma
Adenoid cystic carcinoma

Keratoacanthoma on occasion may invade perineural spaces, but this does not adversely affect the biologic behavior of the lesion; neither can it be used as a distinguishing characteristic between keratoacanthoma and epidermoid carcinoma.
Ref- Shafer's 7th Ed  P: 236